Metastatic disease to the oral region is most likely to occur in which of these locations?
1. Tongue
2. Posterior maxilla
3. Posterior mandible
4. Floor of the mouth

Correct answer: 3. Posterior mandible